Relcovaptan is ?
1. Angiotensin antagonist
2. Renin inhibitor
3. Vasopressin antagonist
4. ACE inhibitor

Correct answer: 3. Vasopressin antagonist

Explanation: Ans. is'c'i.e., Vasopressin antagonistVasopressin receptor antagonists (Vaptans)At V1A receptor - RelcovaptanAt V1B receptor - NelivaptanAt V2 receptor - Lixivaptan, sotavapton, tolvaptan, mozavaptanNon-selective - Conivapton